Hawkin's classification is used for
1. Neck of Talus fracture
2. Distal Tibia fracture
3. Open fracture
4. Colle's fracture

Correct answer: 1. Neck of Talus fracture